Peptic ulcer disease the following statement  is false
1. Zollinger Ellison Syndrome is associated with pancreatic gastrin secreting tumors
2. Helicobacter pylori are a major cause of ulcers
3. Multidrug therapy is preferred to avoid drug resistance
4. Urease breath test is done following an upper GI endoscopy for diagnosis

Correct answer: 4. Urease breath test is done following an upper GI endoscopy for diagnosis

Explanation: Urease breath test can be done without endoscopy or biopsy